Which of the following is the vector of Chiclero ulcer?
1. Mite
2. Lutzomyia
3. Tick
4. None

Correct answer: 2. Lutzomyia

Explanation: Ans. B. Lutzomyia* New world Leishmaniasis is also known as Chiclero ulcer.* Cutaneous Leishmaniasis is of two types: Old world leishmaniasis and New world Leishmaniasis which are transmitted by the bite of Phlebotomus sand fly and Lutzomyia sand fly.